Which of the following organisms is known to cause Atrophic Rhinitis:
1. Klebsiella pneumoniae
2. Klebsiella ozaenae
3. Streptococcus pneumoniae
4. Streptococcus foetidis

Correct answer: 2. Klebsiella ozaenae

Explanation: Organism known to cause atrophic Rhinitis are: Coccobacillus ozaena Diphtheroid bacillus Kiebsiella ozaenae Bordettela bronchiseptica Pasteurella multocida P. vulgaris E. coli Staphylococcus Streptococcus